The most dangerous type of spread of infection from apical abscess is, to:
1. Infratemporal fossa
2. Pterygoid
3. Parapharyngeal space
4. Submandibular space

Correct answer: 3. Parapharyngeal space